All are cavitating lesions in the lung except
1. Caplan's syndrome
2. Hamartoma
3. Wegner's granulomatosis
4. Squamous cell carcinoma

Correct answer: 2. Hamartoma

Explanation: Ref Harrison 19 th ed pg 1794 Hamartomas produce non cavitating popcorn calcifications.